A known alcoholic is brought to the emergency department by his wife. The person has not consumed alcohol for the past two days due to religious reasons. The person complained of nausea, vomiting and dizziness. On the second day, he developed seizures, that progressed to generalized tonic clonic seizures (GTCs). Which of the following would be the best medication to manage the seizures of the patients?
1. Sodium valproate
2. Phenytoin
3. Diazepam
4. Clonidine

Correct answer: 3. Diazepam

Explanation: Ans. c. DiazepamThe seizures in this patient, is due to alcohol withdrawal. Diazepam would be best medication to manage the seizure ofthe patient.'Long acting benzodiazepines such as chlordiazepoxide and diazepam or short acting such as lorazepam can be used totreat mild-moderate uncomplicated alcohol withdrawal.'Chlordiazepoxide is preferred over diazepamfor treatment of alcohol withdrawal syndrome.